Carcinoid heart disease affects which part ?
1. Valvular endocardium
2. Pericardium
3. Myocardium
4. Epicardium

Correct answer: 1. Valvular endocardium

Explanation: Ans. is 'a' i.e., Valvular endocardiumCarcinoid Heart DiseaseCarcinoid heart disease is the cardiac manifestation of the systemic syndrome caused by carcinoid tumors. It generally involves the endocardium and valve of the right side of heart.Cardiovascular lesions consist of firm plaque like endocardial fibrous thickenings on the inside surfaces of the cardiac chambers and the tricuspid and pulmonary valves. Occasionally they involve the major blood vessels of the right side, the inferior vena cava and the pulmonary artery. These plaque like thickenings are composed predominantly of smooth muscle cells and sparase collagen fibres embedded in an acid mucopolysaccharide-rich matrix materials. Elastic fibers are not present in the plaque.The most common cardiac manifestation is tricuspid regurgitation. Stenosis of right sided valve may also develop.Why does right sided heart involvement more common ?Carcinoid tumors produce a variety of bioactive products that produce these (above described) heart lesions. Among these, serotonin is most important. Serotonin is inactivated during its passage through lung. As you all know, left side of heart recieve blood from pulmonary circulation, left sided hear lesions are uncommon (Because serotonin has already been metabolized in lung).Similarly, gastrointestinal carcinoid tumors do not induce carcinoid heart disease (neither right nor left) as bioactive mediators released into the portal circulation are metabolized in the liver. Therefore carcinoid heart disease is produced by tumors that have extensive hepatic metastasis (liver releases the mediators directly into IVC) or carcinoid tumors of organs that are outside portal circulation (e.g., ovary).